For hysteroscopy, following are/is used:a) Distilled Waterb) Airc) Glycined) CO2
1. ab
2. cd
3. bd
4. ac

Correct answer: 2. cd